The best site to obtain a swab in asymptomatic gonorrhea is
1. Endocervix
2. Urethra
3. Lateral vaginal wall
4. Posterior fornix

Correct answer: 1. Endocervix

Explanation: The specimen in gonococcal infection is collected using a urethral swab or endocervical swab. The most common site of gonococcal infection in women is the endocervix (80%-90%), followed by the urethra (80%), rectum (40%), and pharynx (10%-20%). If symptoms develop, they often manifest within 10 days of infection. Major symptoms include vaginal discharge, dysuria, intermenstrual bleeding, dyspareunia (painful intercourse), and mild lower abdominal pain. When gonococcal cervicitis is either asymptomatic or unrecognized, the patient may progress to PID, often in proximity to a menstrual period. PID may also be asymptomatic or silent and occurs in 10-20% of infected women. Reference: Textbook of Microbiology; Anathanarayan and panicker's; 10th edition; Pg:236